The percentage of blood that is present in capillaries is:
1. 5%
2. 10%
3. 15%
4. 20%

Correct answer: 1. 5%

Explanation: At any given time: 54% of the total blood volume is contained within the venous compartment; 10% in the aorta and arteries, 5% in the capillaries, 1% in the arterioles, 12% blood volume in the heart and 18% in the pulmonary circulation.